All are the pharmacologic therapeutic options for achalasia, EXCEPT:
1. Nitrates
2. Beta blockers
3. Botulinum toxin
4. Sildenafil

Correct answer: 2. Beta blockers

Explanation: Pharmacologicals therapies are usually ineffective. They can be used as a temporary measures. The agents used are: 1. Nitrates 2. Calcium channel blockers 3. Botulinum toxin 4. Sildenafil- phosphodiesterase inhibitors, effectively decrease LES pressure. Botulinum toxin, injected into the LES under endoscopic guidance, inhibits acetylcholine release from nerve endings and improves dysphagia in about 66% of cases for at least 6 months Ref: Harrison, Edition-18, Page-2432